"Barefoot Doctors" were from which type of medicine?
1. Mesopotamian Medicine
2. Greek Medicine
3. Indian Medicine
4. Chinese Medicine

Correct answer: 4. Chinese Medicine

Explanation: Barefoot doctors are farmers who received minimal basic medical and paramedical training and worked in rural villages in China. Their purpose was to bring health care to rural areas where urban-trained doctors would not settle.